The surgeon performing a thyroidectomy should remember all except
1. Recurrent laryngeal nerve is closely related to the inferior thyroid artery
2. Superior laryngeal nerve supplies the cricothyroid muscle
3. Recurrent laryngeal nerve supplies all the intrinsic muscles of the larynx
4. Inferior thyroid artery is long and tortuous

Correct answer: 3. Recurrent laryngeal nerve supplies all the intrinsic muscles of the larynx

Explanation: Recurrent laryngeal nerve supplies all intrinsic muscles of larynx except cricothyroid muscle which is supplied by superior laryngeal nerve (external laryngeal branch).